EMLA cream is effective in relieving pain of:-
1. Venipuncture
2. Arterial cannulation
3. Lumbar puncture
4. All of the above

Correct answer: 4. All of the above

Explanation: Any procedure causing pain involving 2-4 mm skin depth can be effectively relieved by EMLA cream. EMLA can provide adequate dermal analgesia for procedures like: Split thickness skin-graft harvesting Venipuncture Laser removal of port wine stains Lithotripsy Circumcision